Converting frank breech presentation into footling breech presentation within the upper birth canal is called
1. Retraction
2. Relaxation
3. Displacement
4. Decomposition

Correct answer: 4. Decomposition

Explanation: Breech decomposition is the procedure in which fetus is manipulated within birth canal to convert frank breech into footling breech.